Cotton Wool skull is seen in?
1. Rickets
2. Paget's disease
3. Congenital syphilis
4. Hydrocephalus

Correct answer: 2. Paget's disease

Explanation: Ans BCotton wool appearance is lateral skull radiograph finding in Paget's disease with Sclerotic ill-defined "patches" appearing fluffy like cotton wool.